Which one of the following drug may be used for prevention of relapse of P. vivax infection -
1. Chloroquine
2. Primaquine
3. Atovaquone
4. Tetracycline

Correct answer: 2. Primaquine

Explanation: Ans. is 'b' i.e., Primaquine